A 85-year-old female developed multiple blisters on trunk and thigh. Nikolsky's sign negative. The lesions came on and off. The most probable diagnosis is:
1. Pemphigus vulgaris
2. Bullous pemphigoid
3. Lichen planus
4. Lepra reaction

Correct answer: 2. Bullous pemphigoid

Explanation: Elderly patient, -ve nikolsky sign and multiple blisters on trunk and thigh point towards BP Other features BP ARTI subepidermal blistering disease. MHC II - HLA-DQ1*0301 is prevalent. Oral mucosal lesions are found rarely (10-40%) Pruritus +/- Nontraumatized blisters heal without scarring Tense blisters-->rupture--> flaccid lesions/ erosions+/- surmounting crust Rx: Mainstay- systemic glucocorticoids -Prednisone, 40 to 60 mg/d.(good response) Azathioprine (1-2 mg/kg/day), Mycophenolate mofetil (20-35mg/kg/day), or Cyclophosphamide (1-2 mg/kg/day)